Roopa Devi, a 65-year-old female with ovarian cancer is being treated with cisplatin-based chemotherapy. All of the following are used to limit the toxicityof cisplatin except:
1. N-acetylcysteine
2. Slow rate of infusion
3. Chloride diuresis
4. Amifostine

Correct answer: 1. N-acetylcysteine

Explanation: (Ref: Harrison 18th/697) N-acetylcysteine is used for paracetamol poisoining whereas slow intravenous infusion and chloride dieresis along with amifostine can limit cisplatin induced nephrotoxicity.